Which of the following is not a primary prevention strategy
1. Breast self exam
2. Control of tobacco
3. Radiation protection
4. Cancer education

Correct answer: 1. Breast self exam

Explanation: Breast self exam is a screening test and is a part of secondary prevention Ref : Park's Textbook of Preventive and Social Medicine; 23rd edition - Pgno. 42